A 14 year old boy with difficulty in walking and behavioural disturbance, recovered from prolonged jaundice recently, has bluish pigmentation over lunula. The next investigation to be done:
1. Nail fold cappillaroscopy
2. Slit lamp examination
3. Biopsy of the pigmented area
4. Ankle-brachial pressure index

Correct answer: 2. Slit lamp examination

Explanation: Neurological involvement + Jaundice + Azure Nails (Bluish discoloration of nails) = Wilson's disease Dx: Slit lamp examination and 24 hrs urinary copper Rx: for Neurological feature - Tetrathiomolybdate